Probiotic organism used is:
1. E. coli
2. Bifido bacteria
3. Staphylococcus
4. Salmonella

Correct answer: 2. Bifido bacteria

Explanation: Probiotics are live microorganisms promoted with claims that they provide health benefits when consumed, generally by improving or restoring the gut flora. 
Probiotics are considered generally safe to consume, but may cause bacteria-host interactions and unwanted side effects in rare cases. 
Probiotics such as B. bifidum have exploded in popularity recently. 
Bifidobacteria are Gram positive, non-sporing,pleomorphic, non-motile bacilli showing true and false branching. 
The name is derived from frequent bifid Y-shaped cells. 
They occur as normal flora in the mouth and gastrointestinal tract and are occasionally pathogenic. 
Dental caries is the most common clinical entity in which B. dentium may have a pathogenic role.

Ref :textbook of microbiology, C P Baveja,5th edition pg no:239